True about H. mole:a) Complete mole seen in human onlyb) Trophoblastic proliferationc) Hydropic degenerationd) Villus pattern absent
1. a
2. bc
3. ac
4. ad

Correct answer: 2. bc

Explanation: H mole:
Microscopically: It is characterised by :

Marked proliferation of the syncytial and cytotrophoblastic epithelium.
Thinning of the stromal tissue due to hydropic degeneration (edema of villous stroma).
Avascular villi.
Maintenance of villus pattern.

Absence of villus pattern is characteristic of choriocarcinoma and not H mole: